A person breaks someone's mandible in an alleged fight. Police can
1. Arrest with warrant
2. Arrest without warrant
3. Declare him hostile and put him in jail
4. Put him in mental asylum

Correct answer: 2. Arrest without warrant

Explanation: Cognizable offence: It is an offence in which a police officer can arrest a person without warrant from the Magistrate, e.g. rape, murder, dowry death or attempt to murder, grievous hurt . Direct impacts on the face can cause fractures of the mandible and maxilla. This also can cause dangerous bleeding into the air passages. Clause Kinds of hurt First Emasculation Second Permanent privation of the sight of either eye Third Permanent privation of the hearing of either ear Fourth Privation of any member or joint Fifth Destruction or permanent impairing of the powers of any member or joint Sixth Permanent disfiguration of the head or face Seventh Fracture or dislocation of a bone or tooth Eighth Any hurt which endangers life, or which causes the sufferer to be during the space of 20 days in severe bodily pain or unable to follow his ordinary pursuits